Zinc deficiency causes -
1. Cardiomyopathy
2. Reduced growth
3. Anemia
4. Hypothyroidism

Correct answer: 2. Reduced growth

Explanation: *Acute zinc deficiency is seen in patients receiving prolonged zinc free parenteral nutrition and causes mental apathy,dermatitisand loss of hair *Chronic zinc deficiency occurs in malabsorption syndromes,alcoholism causing growth retardation(dwarfism) hypogonadism . Zinc Zinc is present in most foods of vegetable and animal origin. It is an essential component of many enzymes, including carbonic anhydrase, alcohol dehydrogenase and alkaline phosphatase. Acute zinc deficiency has been reported in patients receiving prolonged zinc-free parenteral nutrition and causes diarrhoea, mental apathy, a moist, eczematoid dermatitis, especially around the mouth, and loss of hair. Chronic zinc deficiency occurs in dietary deficiency, malabsorption syndromes, alcoholism and its associated hepatic cirrhosis. It causes the clinical features seen in the very rare congenital disorder known as acrodermatitis enteropathica (growth retardation, hair loss and chronic diarrhoea). Zinc deficiency is thought to be responsible for one-third of the world's population not reaching their optimal height. In the Middle East, chronic deficiency has been associated with dwarfism and hypogonadism. In starvation, zinc deficiency causes thymic atrophy; zinc supplements may accelerate the healing of skin lesions, promote general well-being, improve appetite and reduce the morbidity associated with the under-nourished state, and lower the mortality associated with diarrhoea and pneumonia in children. Ref Harrison 20th edition pg 96e2